Chronic cough is a side effect of?
1. Captopril
2. Domperidone
3. Cimetidine
4. Celecoxib

Correct answer: 1. Captopril

Explanation: Ans. is `a' i.e., Captopril Captopril is an ACE inhibitor and chronic cough is a known side effect of ACE inhibitors. Adverse effects of ACE inhibitor Hypotension Cough Angioedma Teratogenecity Acute renal failure Hyperkalemia Rashes, Urticaria Dysguesia Gfanulocytopenia Dysguesia is reversible loss or alteration of taste sensations. Cough and angioedema are due to elevated bradykinin, caused by inhibition of bradykinin/substance P metabolism in lungs.